Enterovirus 72 is
1. Hepatitis A
2. Hepatitis E
3. Hepatitis G
4. Hepatitis C

Correct answer: 1. Hepatitis A

Explanation: Hepatitis A virus belongs to Enterovirus (picomavirus family) and was originally designated as “enterovirus-72”

Hepatitis ‘A' virus

 HAV is a non enveloped RNA virus.
 It is classified in genus Hepatovirus under family picomavirus.
 Originally called as enterovirus 72.
 It is the only human hepatitis virus which can be cultivated in vitro. It can be grown in some human and simian cell

cultures.

 Most common cause of acute hepatitis in children.
 Transmission is by the fecal-oral route.
The virus is shed in feces during the late incubation period and the prodromal phase of the illness.
Maybe present occasionally in the saliva and urine of patients, but this is not relevant in the spread.

Prophylaxis
Both passive and active prophylaxis are available.
Passive prophylaxis by pooled normal human immunoglobulin is given IM before exposure or in the early incubation period.
Active prophylaxis is by a conjugate vaccine containing HAV (inactivated by formalin) grown in human diploid cell culture.